Genu valgus deformity seen when?
1. Long axis of tibia n fibula moves medial to long axis of femur
2. Long axis of tibia n fibula moves lateral to the long axis of femur
3. Long axis of femur is posterior to tibia and fibula
4. Long axis of femur is anterior to tibia and fibula

Correct answer: 2. Long axis of tibia n fibula moves lateral to the long axis of femur

Explanation: ANSWER: (B) Long axis of tibia and fibula moves lateral to the long axis of femurRE F: http ://www.upstate.edu/cdb/educatio n/grossanat/limbs8. shtmlALIGNMENT OF THE KNEENormal AlignmentSlight valgus position: Angle between longitudinal axis of femur and tibia is 170 degree opened laterallyQ angle- is a measure of the axis of pull of the quadriceps tendon and that of the ligament of the patella. The former is measured by a line drawn from the ASIS to center of patella. The latter is determined by a line drawn from the tibial tuberosity to the center of the patella. The normal Q angle is between 15-200. This angle is somewhat greater in females than males. A Q angle much greater than normal means the patella will track in a lateral direction rubbing against the lateral femoral condyle causing Patella pain.Abnormal AlignmentGenu Valgum ( Knock Knee)Tibia abducted with respect to femurAngle between longitudinal axes of bones less than 1700Genu Varum (Bow Leg)Tibia adducted with respect to femurAngle between longitudinal axes of bones greater than 1700Genu valgum: distance between medial malleoli < 8cms with knees touching and patella facing outwardsGenu varum: distance between medial malleoli < 6cms when heels are touchingGenu recurvatum is a deformity in the knee joint,so that the knee bends backwards. In this deformity, excessive extension occurs in the tibiofemoral joint. Genu recurvatum is also called knee hyperextension and back kneeTibia vara: also known as blount's disease